Which of the following is not an extra ocular manifestation of vitamin A deficiency:
1. Anorexia
2. Growth retardation
3. Follicular hyperkeratosis
4. None of the above

Correct answer: 4. None of the above

Explanation: Extra ocular manifestations of vitamin A deficiency include anorexia, growth retardation and follicular hyperkeratosis. Ref: Park 22nd edition, page 570